Instructing the patient to say "ah" with short vigorous
bursts will help in visualizing
1. Soft palate
2. Posterior vibrating line
3. Anterior vibrating line
4. Junction of hard and soft palate

Correct answer: 3. Anterior vibrating line